Cataract in a diabetic patients is because of accumulation of sorbital in lens. The enzyme responsible for this is
1. Hexokinase
2. NADPH+ dependant aldolase reductase
3. Glucokinase
4. Phosphofructo isomerase

Correct answer: 2. NADPH+ dependant aldolase reductase

Explanation: B i.e. NADPH + dependent aldolase reductase Lens Q, peripheral nerves, renal glomeruli & RBC's are the tissues where glucose can enter without the help of insulin. In diabetics, concentration of glucose rise with in lens which is converted into sorbitol & fructose. Sorbitol does not easily diffuse through cell membrane & thus accumulate. It causes damage to lens protein and leads to cataract.